Spanish windlass is an example of which of the following methods of crime?
1. Bansdola
2. Garrotting
3. Throttling
4. Mugging

Correct answer: 2. Garrotting

Explanation: In garrotting, a ligature is thrown over the neck of the victim and is quickly tightened by twisting it with a lever. In Spanish windlass, an iron collar is tightened by a screw. Ref: Essentials of Forensic Medicine and Toxicology by Narayan Reddy, 21st Edition, Page 300.